Intraocular pressure is increased by which anesthetic
1. Ketamine
2. O2
3. N20
4. Isoflurane

Correct answer: 1. Ketamine

Explanation: Ketamine may be contraindicated in patients with an open eye injury or other ophthalmologic disorder, in which a ketamine-induced increase in intraocular pressure would be detrimental. ketamine increases all the pressures - blood pressure intracranial pressure intragastric pressure intraocular pressure Ref: Miller's anesthesia 8th edition.